A child draws circle at -
1. 12 months
2. 24 months
3. 30 months
4. 36 months

Correct answer: 4. 36 months

Explanation: Ans. is 'd' i.e., 36 months